Eutectic mixture of local anaesthetic (EMLA) cream
1. Bupivacaine 2.0% +Prilocaine 2.5%
2. Lidocaine 2.5% + Priocaine 2.5%
3. Lidocaine 2.5% + Prilocaine 5%
4. Bupivacaine 0.5% + Lidocaine 2.5%

Correct answer: 2. Lidocaine 2.5% + Priocaine 2.5%

Explanation: EMLA is eutectic mixture of local anesthetics (2.5% lidocaine and 2.5% prilocaine)